Conventional dental amalgam alloy contains:
1. Silver, tin, copper and zinc
2. Silver, mercury, copper and zinc
3. Silver, tin, palladium and zinc
4. Silver, copper, iridium and mercury

Correct answer: 1. Silver, tin, copper and zinc